All of the following are important precautions to prevent infections associated with arterial catherterizations except -
1. Education of health personnel
2. Hand hygiene
3. Use sterile semipermeable dressing
4. Use of femoral artery more than radial artery

Correct answer: 4. Use of femoral artery more than radial artery

Explanation: Ans. is 'd' i.e., Use of femoral artery more than radial artery Guidelines for prevention of arterial catheter-related bloodstream infectionso Educate healthcare personnel regarding the indications for intravascular catheter use, proper precautions for insertion and maintenance of intravascular catheters, and appropriate infection control measures to prevent catheter-related infections.o Periodically assess knowledge and adherence to guidelines for all personnel involved in insertion and maintenance of intravascular catheters.o Designate only trained personnel who demonstrate competence for the insertion and maintenance of peripheral and central intravascular catheterso Ensure appropriate nursing staff levels in intensive care unitso Site selection Radial, dorsalis pedis and brachial sites are to be used preferentially over femoral site.o Insertion technique Hand hygiene is to be performed before insertion or manipulation of arterial cathetero Mask, cap, sterile gloves and fenestrated drape are to be used as minimum for insertion of a peripheral arterial catheter.o Maximum sterile barrier precautions should be used for axillary or femoral arterial catheter placemento Maintenance Monitor catheter sites regularly.o Use either sterile gauze or sterile, transparent, semipermeable dressing to cover the catheter siteo If the patient is diaphoretic or if the site is bleeding or oozing, use gauze dressing until this is resolved Replace catheter site dressing if the dressing becomes damp, loosened or visible soiledo Do not use topical antibiotic ointment or cream at insertion site because of their potential to promote fungal infections and antimicrobial resistanceo Do not submerge catheter site in water.o Replace arterial catheters only when there is a clinical indication; do not routinely replace arterial catheters to prevent catheter-related infectionso Remove the arterial catheter when it is no longer neededo Use disposable, rather than re-usable, transducer assemblies.o Sterilize re-usable transducers according to manufacturer's instruction if disposable transducers are not availableo Replace disposable or re-usable transducers and other components of the systems (tubing, flush device and flush solution) at 96-h intervals.o Keep all components of the monitoring system sterile.o Minimize number of manipulations and entries into pressure monitoring system. Use closed flush system to maintain patency of pressure monitoring catheters.o When accessing through a diaphragm rather than a stopcock, scrub the diaphragm with antiseptic before accessing system.o Do not administer dextrose-containing or parenteral nutrition fluids through the pressure monitoring circuit.